All are major symptoms of sinusitis except ?
1. Nasal bluckage
2. Facial congeion
3. Nasal congestion
4. Halitosis

Correct answer: 4. Halitosis

Explanation: Ans. is 'd' i.e., Halitosis The clinical symptoms of acute sinusitis have been classified into major and minor Major Facial pain or pressure Purulent nasal discharge Fever Nasal congestion Nasal obstruction Hyposmia or Anosmia Facial congestion or fullness Minor Headache Cough Fatigue Halitosis Dental pain Ear pain or pressure